Slow pain in nerves is carried by
1. a (alpha)
2. b (delta)
3. B
4. C

Correct answer: 4. C

Explanation: (D) C > Sense organs for pain are free nerve ending found in almost every tissue of the body> PAIN PATHWAY> VPN thalamus Ad(myelinated)... fast pain> DRG> C (unmyelinated)... slow pain dorsal root> Substance P is mediator of pain